What is the most common cause of preload disorders in children?
1. Distributive shock
2. Hypovolemic shock from vomiting and diarrhea
3. Congestive heart failure
4. Severe anemia

Correct answer: 2. Hypovolemic shock from vomiting and diarrhea

Explanation: Preload is the amount of blood that the heart receives to distribute to the body. In addition to heart rate, afterload, and cardiac contractility, preload determines cardiac output. In children, the most common cause of decreased preload is hypovolemia, usually from vomiting and diarrhea. Distributive shock secondary to sepsis, neurogenic spinal shock, or anaphylaxis is a less common cause of preload reduction. Acute anemia may also be associated with decreased preload. Congestive heart failure is a frequent complication in children with congenital heart disease. Increased preload results in elevation of left atrial pressure leading to pulmonary edema and decreased oxygenation. Reference: GHAI Essential pediatrics, 8th edition